Daily maintenance fluid for a child weighing 10 kg is:
1. 1000 ml/day
2. 800 ml/day
3. 500 ml/day
4. 1200 ml/day

Correct answer: 1. 1000 ml/day

Explanation: The Holliday-Segar Method

In the Holliday-Segar Method, fluid and electrolyte requirements are empirically based on the caloric needs of the average hospital patient.
The same formula is used for calculating calorie requirement as well as fluid requirement